A patient has subclinical folate deficiency. All of the following drugs can precipitate megaloblastic anemia in this patient except:
1. Alcohol
2. Phenytoin
3. Chloroquine
4. Sulfasalzine

Correct answer: 3. Chloroquine

Explanation: Ans. (C) Chloroquine(Ref: Harrison 17/e p649)Megaloblastic anemia can be caused by deficiency of folic acid or vitamin B12 . The drugs that can result in deficiency of folic acid include alcohol, phenytoin and sulfonamides